What is the indication of using systemic steroids in a case of rheumatoid arthritis -
1. Carpal tunnel syndrome
2. Presence of deformities
3. Mononeuritis multiplex
4. Involvement of articular cartilage

Correct answer: 3. Mononeuritis multiplex